Solitary erythematous oval lesion with central clearing giving target appearance is seen with?
1. Erythema migrans
2. Erythema annulare
3. Erythema multiformie
4. All of the above

Correct answer: 1. Erythema migrans

Explanation: Erythema migrans secondary to Lyme disease is an erythematous oval lesion with central clearing. The classic "bull's-eye" occurs in this. Erythema migrans is the term applied to skin lesions of Lyme borreliosis. Caused by Borrelia burgdorferi Transmitted by bites from Ixodes ticks. The primary lesion of erythema migrans at the site of a tick bite is usually solitary and usually macular . The lesion expands slowly with central clearing. Erythema Multiforme: Target lesion seen on distal extremeties. typically involves the extremities, palms, and soles .. multiple lesions